Hashimoto's disease is:
1. Agranulomatous thyroiditis
2. An autoimmune thyroiditis
3. Fibrous thyroiditis
4. A viral infection of the thyroid gland

Correct answer: 2. An autoimmune thyroiditis